Phase 3 of parturition is :
1. Preparation For Labour
2. Process Of Labour
3. Involution
4. Uterine quiscence

Correct answer: 2. Process Of Labour

Explanation: Phases of Parturition Parturition, the bringing forth of young, encompasses all physiological processes involved in birthing :Phase 1 = Prelude to parturition Phase 2 (Activation) = Preparation for labor Phase 3 (Stimulation) =Processes of labor Phase 4 (Involution) =Parturient recovery The clinical stages of labor, which are the first, second, and third stages together make up phase 3 of parturition. Please note: The phases of parturition should not be confused with the clinical stages of labor